Not TRUE about Iliotibial tract
1. Distal and of Iliotibial tract is attached to gerdy's tubercle
2. Tensor fascia lata has its insertion on lliotibial tract
3. Gluteus minimus has its insertion on Iliotibial tract
4. Its contracture leads to flexion, External rotation and posterior subluxation

Correct answer: 3. Gluteus minimus has its insertion on Iliotibial tract

Explanation: Gluteus maximus and Tensor fascia lata has their insertion on Iliotibial tract.